All of the following Cranial nerves pass through the middle part of jugular foramen except
1. VII
2. IX
3. X
4. XI

Correct answer: 1. VII

Explanation: The jugular foramen transmits the following structures:Through the anterior parta. Inferior petrosal sinusb. Meningeal branch of the ascending pharyngeal arteryThrough the middle partIXth, Xth and Xlth cranial nervesThrough the posterior parta. Internal jugular veinb. Meningeal branch of the occipital arteryRef: BD Chaurasia; volume 3; 6th edition; Osteology